Which of the following is not true about the autistic specific disorder -
1. Impaired communication
2. Impaired imagination
3. Language developmental delay
4. Vision problems

Correct answer: 4. Vision problems

Explanation: Ans. is 'd' i.e., Vision problems o Autism is characterized by Impaired social interaction, impaired communication, and restricted repetitive & stereotyped pattern of behavior. o Restricted repetitive stereotypes pattern of behavior is due to impaired imagination. o So, Diagnostic triad of features is : ? i) Impaired social interaction ii) Impaired communication iii) Impaired imagination o Language development is often quite delayed.